Which, of the following plays a major role in the development of dumping syndrome:
1. Vagolytic mechanism
2. Smaller stomach
3. Excessive food in the stomach
4. Large volume of hyperosmotic fluid in the intestine

Correct answer: 4. Large volume of hyperosmotic fluid in the intestine

Explanation: Ans. D: Large volume of hyperosmotic fluid in the intestine